Absorptive function of the mucosa of intestine can be best assessed by -
1. d-Xylose test
2. NET- PABA test
3. Stool fat estimation
4. Urobilin levels

Correct answer: 1. d-Xylose test

Explanation: D-xylose absorption test is a medical test performed to diagnose conditions that present with malabsorption of the proximal small intestine due to defects in the integrity of the gastrointestinal mucosa. D-xylose is a monosaccharide, or simple sugar, that does not require enzymes for digestion prior to absorption Ref Davidson edition23rd pg809